All of the following are the indications for Hysterectomy, EXCEPT
1. Prolapse
2. Dysfunctional uterine bleeding
3. Endometriosis
4. Red degeneration of fibroid

Correct answer: 4. Red degeneration of fibroid

Explanation: Red degeneration of fibroid occurs usually in second trimester of pregnancy leading to sudden pain and leucocytosis and is managed conservatively Indications of Hysterectomy Fibroid Uterus(40-45%) Most common Endometriosis(15-20%) Dysfunctional uterine bleeding Pelvic Inflammatory Bleeding Chronic pelvic pain Tubo-Ovarian Mass Adenomyosis Malignancy Rupture of uterus PPH Uterovaginal prolapse